The presence of small sized platelets on the peripheral smear is characteristic of:
1. Idiopathic thrombocytopenic purpura
2. Bernard soulier syndrome
3. Disseminated intravascular coagulation
4. Wiskott aldrich syndrome

Correct answer: 4. Wiskott aldrich syndrome

Explanation: Wiskott aldrich syndrome is characterised by the traid of: Severe exzema Thrombocytopenia Recurrent infections( ref Robbins 7th/244,8th/235)